Which of the following interstitial lung diseases is not associated with smoking?
1. Desquamative interstitial pneumonitis
2. Respiratory bronchiolitis-interstitial lung disease
3. Idiopathic pulmonary fibrosis
4. Bronchiolitis obliterans organizing pneumonia

Correct answer: 4. Bronchiolitis obliterans organizing pneumonia

Explanation: Desquamative interstitial pneumonitis, respiratory bronchiolitis-interstitial lung disease, pulmonary Langerhans cell histiocytosis, Goodpasture's disease, and pulmonary alveolar proteinosis are almost always associated with cigarette smoking. Bronchiolitis obliterans organizing pneumonia (BOOP), or cryptogenic organizing pneumonia, is often an idiopathic syndrome that presents in the fifth to sixth decade of life with dyspnea on exertion, cough, fevers, malaise, and weight loss. The cause in most instances is unknown, although BOOP may occur concomitantly with primary pulmonary disorders as a nonspecific reaction to lung injury. BOOP usually responds to steroid therapy, which induces clinical recovery in two-thirds of patients. It is not associated with previous tobacco use.